Most common cause of CRF in adults is -
1. TB
2. HTN
3. DM
4. Scleroderma

Correct answer: 3. DM

Explanation: Ans. is 'c' i.e., DM o Diabetes mellitus is the most common cause of Renal failure.